All are anticraving agent for alcohol except -
1. Lorazepam
2. Naltrexone
3. Topiramate
4. Acamprosate

Correct answer: 1. Lorazepam

Explanation: Ans. is 'a' i.e., Lorazepam Treatment of alcohol dependenceo Detoxification (treatment of withdrawal) BZDs are the drugs of choice, e.g. chlordiazepoxide (Ist choice), Diazepam (2nd choice).o Maintenance after detoxification (to prevent relapse and maintenance of abstinence)a) Aversive agents (deferent agents) :- Disulfiram, CCC, metronidazole, Natrafezole.b) Anticraving agent:- Naltrexone, Acamprosate, fluoxetine, Topiramate, Nalmefene.